Bronchiectasis sicca is seen with
1. TB
2. Pertusis
3. Cystic fibrosis
4. Pneumonia

Correct answer: 1. TB

Explanation: Bronchiectasis sicca is a dry bronchiectasis seen in tuberculosis Bronchiectasis sicca or dry bronchiectasis is a very rare condition in which there are all the features of bronchiectasis except for the absence of copious amount of sputum which is usually a hall mark of bronchiectasis Dry bronchiectasis is rare condition in which abnormal dilataion of trachea bronchial tree Ref Davidson 23rd edition pg 586